Round ligament of uterus is derived from
1. Gonadal ridge
2. Mullerian duct
3. Gubernaculum
4. Genital tubercle

Correct answer: 3. Gubernaculum

Explanation: The round ligament develops from the gubernaculum which attaches the gonad to the labioscrotal swelling in the embryo. The round ligament enters the pelvis the deep inguinal ring, passes through the inguinal canal and continues on to the labia majora where its fibers spread and mix with the tissue of the mons pubis.